Giant papillary Conjunctivitis is seen in -
1. Contact lens user
2. Trachoma
3. Spring Cattarh
4. Mycotic corneal ulcer

Correct answer: 1. Contact lens user

Explanation: Giant papillary conjunctivitis is a complication of contact lens use. Reference : Donshik, P.C. (2003). Contact lens chemistry and giant papillary onjunctivitis.